Most common site of glomus tumor is ?
1. Under fingernails
2. Under toenails
3. Neck
4. Axilla

Correct answer: 1. Under fingernails

Explanation: Ans. is 'a' i.e., Under fingernails